Statistically important risk factors identified for breast cancer-
1. Early age at marriage
2. Females of non vegetarian diet
3. Those who have not breast fed their children
4. Smoking

Correct answer: 3. Those who have not breast fed their children

Explanation: Ans. is 'c' i.e. Those who have not breast fed their children